Extra pyramidal syndrome like side effects are seen in:
1. Haloperidol
2. Clozapine
3. Tetracycline
4. Ketoconazole

Correct answer: 1. Haloperidol

Explanation: Ans. is 'a' Haloperidol Drugs causing extrapyramidal effectsButyrophenones (Haloperidol)*Levodopa*Methyldopa*Metoclopramide*OCP'SPhenothiazines*Reserpine*Tricyclic Antidepressants